Drug of choice for CML:
1. Imatinib
2. Cisplatin
3. Methotrexate
4. Tamoxifen

Correct answer: 1. Imatinib

Explanation: Ans. A. ImatinibImatinib is drug of choice of chronic myeloid leukemia. Cisplatin is given for ovarian cancer. Methotrexate is given for testicular cancer or carcinoma cervix. Tamoxifen is given for breast cancer.